The 37% hydrophosphoric acid typically dissolves about _____________ micrometer of enamel surface and creates a zone of etched enamel rods for about 15-25 micrometer
1. 5-10 microns
2. 1-5 microns
3. 10-15 microns
4. >15 microns

Correct answer: 1. 5-10 microns